All the following are features of Guillain-Barre syndrome except -
1. Predominant motor involvement
2. Residual disability
3. Absence of pleocytosis in CSF
4. Sparing of bladder function

Correct answer: 2. Residual disability